All of the following statements about Zenker's diverticulum are true Except:
1. Acquired diverticulum
2. Lateral X-rays on Barium swallow are often diagnostic
3. False Diverticulum
4. Out pouching of the anterior pharyngeal wall, just above the cricopharyngeus muscle

Correct answer: 4. Out pouching of the anterior pharyngeal wall, just above the cricopharyngeus muscle

Explanation: Ans is D i.e. Out pouching of the anterior pharyngeal wall, just above the cricopharyngeus muscle Zenker's diverticulum is out pouching of the posterior pharyngeal wall, where pharyngeal mucosa herniates through the Killian's dehiscence (the weak area between the upper oblique fibres and the lower horizontal fibres of the inferior constrictor muscle). Zenker's diverticulum is an acquired diverticulum and not a congenital diverticulum. It's a false diverticulum as it does not contain all the anatomic layers of the oesophageal wall. Barium swallows are diagnostic. Lateral views are essential as these are posterior outpouchings.